A 55 year old patient of myocardial infarction is on 75 mg aspirin for last 6 months. He has to undergo extraction of carious tooth. What the dentist should do?
1. Extraction can be done as this dose of aspirin does not lead to marked bleeding during extraction
2. Stop aspirin atleast for 3 days prior to extraction
3. Stop aspirin atleast for 7 days prior to extraction
4. Give platelets infusion and then do extraction.

Correct answer: 1. Extraction can be done as this dose of aspirin does not lead to marked bleeding during extraction